Malignant hydatid disease is caused by
1. E. granulosis
2. E. Multilocularis
3. H. Nana
4. D. Latum

Correct answer: 2. E. Multilocularis

Explanation: Malignant hydatid disease is caused by Echinococcus Multi locularis.